The therapeutic window of the medication refers to?
1. An inventory of treatments recommended for a particular disorder
2. A holistic treatment approach, involving but not limited to a cycle psychopharmacology
3. A recommended dosage and treatment plan
4. The optimum dosage in which drugs main effect are obtained with minimal side effects

Correct answer: 4. The optimum dosage in which drugs main effect are obtained with minimal side effects

Explanation: A drugs therapeutic window is the minimum dosage necessary for a patient to benefit from the main effects intended of a specific drug. While main effects become present and are maximized, side effects are minimized. This allows the patient to benefit from the therapeutic effect of the drug without suffering side effects that are more likely to be present if the optimum dosage is exceeded. Ref: Human Drug Metabolism: An Introduction By Michael D. Coleman.